All of the following statements about Botulism are true except :
1. Botulism is caused by endotoxin
2. Honey ingestion causes infant botulism
3. Constipation is seen
4. Detection of antitoxin in the serum can aid in diagnosis

Correct answer: 1. Botulism is caused by endotoxin

Explanation: Cl. botulinum produce exotoxin (since endotoxin is usually produced by gram-negative bacteria) which differs from other exotoxin in that it is produced intracellularly and appears in the medium only on death/autolysis of cell.
Toxin production is determined by bacteriophage at least in types C and D toxin.
All toxin are neurotoxin except C toxin, which is cytotoxin.
Toxin acts by blocking production or release of Ach at synapse and Neuromuscular junction (= parasympatholytic = effect of atropine) so cause constipation, paralysis, etc.
Human disease is caused by type A, B, E and rarely F.
MC Type of botulism is ‘Infant botulism’ which is produced by eating of honey containing spores so toxin is produced inside.
Foodborne botulism and wound botulism are produced by preformed toxin.
Diagnosis may be confirmed by demonstration of bacillus or toxin in food or feces.
A retrospective diagnosis may be made by detection of antitoxin in the patient serum but it may not be seen in all cases.